Downward displacement of enlarged spleen is prevented by :
1. Leinorenal ligament
2. Phrenicolic ligament
3. Upper pole of right kidney
4. Sigmoid colon

Correct answer: 2. Phrenicolic ligament

Explanation: B. i.e. Phrenicocolic ligament